Osteoporosis is not seen in:
1. Thyrotoxicosis
2. Rheumatoid arthritis
3. Postmenopausal women
4. None of the above

Correct answer: 4. None of the above